Increased anion gap metabolic acidosis is seen in all except -
1. Starvation
2. Salicylate poisoning
3. Lactic acidosis
4. Diarrhoea

Correct answer: 4. Diarrhoea